Which of the following is not done before ABG:
1. Allen's test
2. Heparin to rinse the syringe
3. Flexion of wrist
4. Poking at 45deg angle

Correct answer: 3. Flexion of wrist

Explanation: Ans. C. Flexion of wrist* While taking ABG the wrist is generally kept in hyperextension. This is to make the vessel straight and to fix the position (because of tension in hyperextension).* Flexion will make the vessel loose and the vessel will slip easily while poking.* ABG is painful, and radial artery spasm can result in ischemia of the hand in patients with radial dominant circulation.